Defect in any of the following result in renal agenesis except :
1. Nephrogonic bud
2. Ureteric bud
3. Blartema of nephrogenic tissue
4. Failure of descent of kidney into lumbar region

Correct answer: 4. Failure of descent of kidney into lumbar region

Explanation: Kidney arcent from sacral region to lumbar region excreting component derival from metanephric blastema.